Most common cause of death in carcinoma cervix is :
1. Widespread metastasis
2. Renal failure
3. Operative interference
4. Hazards of radiotherapy

Correct answer: 2. Renal failure

Explanation: Renal failure